In the entire genome, the exonic DNA constitutes
1. 1.50%
2. 0.50%
3. 0.10%
4. 0.02%

Correct answer: 1. 1.50%

Explanation: Human genome: Size: 3 billion base pairs Number of genes: <25,000 At least 30% of the genome consists of repetitive sequences Alu family constitutes ~10% of human genome Largest gene: DMD gene coding for dystrophin protein Only around 1.5 % of human genome is made of protein-coding (exonic) DNA